Periphery of retina is best visualised with:
1. Retinoscopy
2. USG
3. Direct ophthalmoscopy
4. Indirect ophthalmoscopy

Correct answer: 4. Indirect ophthalmoscopy

Explanation: Ans.Indirect ophthalmoscopy